Large for date baby may be due to:
1. Beckwith syndrome
2. Diabetic mother
3. Genetic predisposition
4. All of the above

Correct answer: 4. All of the above

Explanation: Beckwith syndrome is charectorised by : macrosomia, macroglossia and omphalocele. cytogenic location is 11q15 and is associated with wilm's tumour of kidney. other risk factors which favour likelihood of large fetus are : large size of parents multiparity prolonged gestation increased maternal age male fetus previous infant weighing more than 4kg race or ethnicity. ref:williams textbook of obstetrics, 23edition page 854